All of the following are features of juvenile Myoclonic epilepsy, except -
1. Myoclonus on awakening
2. Generalized tonic-clonic seizures
3. Automatism
4. Absence seizures

Correct answer: 3. Automatism